Regarding otitis necrotics externa all are true except -
1. Caused by pseudomonas
2. Surgery never done
3. Facial nerve involved
4. Common in diabetics

Correct answer: 2. Surgery never done